Mallet finger is due to avulsion of extensor tendon of-
1. Proximal phalanx
2. Middle phalanx
3. Distal phalanx
4. Metacarpals

Correct answer: 3. Distal phalanx